ApoE, ApoC is synthesized by ?
1. Liver
2. Kidney
3. Intestine
4. RBCs

Correct answer: 1. Liver

Explanation: Liver Site of synthesisLiver & intestine A-I ,Liver A-V , B-00, C (C-I, C-11, C-III), EIntestine A-IV, B-48Spleen, brain, testes adrenal --> A- D